A lesion of ventrolateral part of spinal cord will lead to loss (below the level of lesion) of:
1. Pain sensation on the ipsilateral side
2. Proprioception on the contralateral side
3. Pain sensation on the contralateral side
4. Propriception on the ipsilateral side

Correct answer: 3. Pain sensation on the contralateral side

Explanation: C i.e. Pain sensation on the contralateral side